Which is not vitamin D resistant rickets is:
1. Osteomalacia
2. Familial hypophosphatemia.
3. Refractory rickets.
4. Phosphate diabetes.

Correct answer: 1. Osteomalacia

Explanation: Vitamin D-resistant rickets: (Familial hypophosphatemia, refractory rickets, phosphate diabetes)